The non poisoning Salt of cyanide is :
1. Potassium cyanide
2. Hydrocyanic acid
3. Sodium cyanide
4. Potassium ferroc yanide

Correct answer: 4. Potassium ferroc yanide

Explanation: D i.e. Potassium ferrocyanide